The supraoptic nucleus of the hypothalamus is believed to control secretion of which of the following hormones?
1. Antidiuretic hormone
2. Oxytocin
3. Growth hormone
4. Adrenocoiocotrophic hormone

Correct answer: 1. Antidiuretic hormone

Explanation: The supraoptic nucleus (SON) is a nucleus of magnocellular neurosecretory cells in the hypothalamus of the mammalian brain. The nucleus is situated at the base of the brain, adjacent to the optic chiasma. In humans, it contains about 3,000 neurons.Function; The cell bodies produce a peptide hormone: anti-diuretic hormone.Ref: Ganong's review of medical physiology; 24th edition; page no; 311